Most common thyroid Cancer is
1. Papillary carcinoma
2. Follicular carcinoma
3. Medullary carcinoma
4. Anaplastic carcinoma

Correct answer: 1. Papillary carcinoma

Explanation: Papillary carcinoma of thyroid: - constitutes >85% of all thyroid carcinoma - occurs due to mutation of genes encoding: *RET gene *NTRK1 receptor tyrosine kinases *BRAF gene These tumours may be solitary or multivocal. On microscopy: - branching papillae with fibrovascular stalk lined by cuboidal epithelium - nuclei of cells are optically clear with dispersed chromatin and has Orphan Annie eye nuclei (Ref : ROBBINS Text book of pathology) REF IMG